Which of the following is associated with a sudden decrease in serum calcium levels?
1. Skeletal manifestations
2. Increase in phosphate levels
3. Increased thyroxine and PTH secretion
4. Increase in excitability of muscle and nerve

Correct answer: 4. Increase in excitability of muscle and nerve

Explanation: Manifestations of acute hypocalcemia includes increased neuromuscular excitability and cardiovascular effects of a decrease in ionized calcium. Nerves exposed to low ionized calcium, levels shows decreased threshold for excitation, repetitive responses to a single stimulus and in extreme cases continuous activity. Increased neuromuscular excitability manifest as paresthesias and tetany. In severe cases laryngeal spasm, seizures and death can occur. Ref: Poh Pathophysiology: Concepts of Altered Health States By Ruth A. Hannon, Page 762